All are true about atropine poisoning, except
1. Dilated pupils
2. Decreased temperature
3. Dysarthria
4. Dysphagia

Correct answer: 2. Decreased temperature

Explanation: Ans. Decreased temperature